Chronic inflammatory bowel disease is associated with:
1. Chronic hepatitis
2. Fibrosis
3. Cholangiosarcoma
4. Primary sclerosing cholangitis

Correct answer: 4. Primary sclerosing cholangitis

Explanation: The extra- intestinal involvement of ulcerative colitis is primary sclerosing cholangitis Primary sclerosing cholangitis Characterized by both intrahepatic and extrahepatic bile duct inflammation and fibrosis Frequently leading to biliary cirrhosis and hepatic failure Approximately 5% of patients with UC have PSC But 50-75% of patients with PSC have IBD